MC intraocular malignant tumour of childhood:
1. Malignant melanoma
2. Retinoblastoma
3. Basal cell carcinoma
4. Naevus of iris

Correct answer: 2. Retinoblastoma

Explanation: Ans. B i.e. Retinoblastoma